In puerperial period sepsis is M/C due to..
1. Uterine infection
2. Ovarian infection
3. Vaginal infection
4. All of the above

Correct answer: 1. Uterine infection

Explanation: Ans. is 'a' i.e., Uterine infection {Ref: Dutta's Obs 7th/e p. 432]Puerperal sepsiso An infection of genital tract as a complication of delivery is termed puerperal sepsis.o Puerperal sepsis is commonly due toI. EndometritisII EndomyometritisIII. Endopvometritiso Combination of all these is called pelvic cellulitis